Which among the following drug is contra–indicated in renal failure ?
1. Pethidine
2. Morphine
3. Fentanyl
4. Atracurium

Correct answer: 1. Pethidine